All of these cause hyperglycemia except:
1. GH
2. Cortisol
3. Catecholamines
4. Insulin

Correct answer: 4. Insulin

Explanation: D i.e. Insulin